Anorganic bone is an example of:
1. Autografts
2. Alloplasts
3. Xenografts
4. Allografts

Correct answer: 3. Xenografts